Banana sign seen in the foetal brain suggests ?
1. Renal agenesis
2. Encephalocele
3. Spina Bifida
4. Porencephaly

Correct answer: 3. Spina Bifida

Explanation: Banana sign in foetal brain suggest spina bifida. Reference: GHAI Essential pediatrics, 8th edition